Breast feeding done after child birth should be
1. ASAP or within half an hour
2. ASAP or within one hour
3. ASAP or within four hours
4. ASAP or within 6 hours

Correct answer: 2. ASAP or within one hour